Best investigation for temporal bone fracture is:
1. CT
2. MRI
3. X-RAY
4. Ultrasound

Correct answer: 1. CT

Explanation: Ans. CT